Location of Keratan sulfate 1 is
1. Skin
2. Bone
3. Cornea
4. Lung

Correct answer: 3. Cornea

Explanation: Keratan sulfate I was originally isolated from the cornea, while keratan sulfate II came from cartilage. In the eye, they lie between collagen fibrils and play a critical role in corneal transparency. Changes in proteoglycan composition found in corneal scars disappear when the cornea heals. Reference: Harper's Biochemistry; 30th edition; Chapter 50; The Extracellular Matrix